Regarding Fanconi anemia, the wrong statement is:
1. Autosomal dominant
2. Bone marrow show pancytopenia
3. Usually aplastic anemia
4. It is due to defective DNA repair

Correct answer: 1. Autosomal dominant

Explanation: Fanconi's anemia is an autosomal recessive disease Characterized:- Progressive pancytopenia Increased risk of malignancy (solid tumors and AML) Congenital developmental anomalies like short stature, cafe au lait spots, abnormalities affecting thumb, radius and genitourinary tract. Fanconi's anemia is associated with BRCA gene.